NN Nicotinic acetylcholine receptors are present on
1. Myocardium
2. Motor endplates
3. presynaptic glutamate-secreting axon terminals
4. Neuromuscular junction

Correct answer: 3. presynaptic glutamate-secreting axon terminals

Explanation: Nicotinic receptors are subdivided into those found at the; neuromuscular junction (NM) CNS and autonomic ganglia (NN) The NN receptors are comprised of only a and b subunits. Each a subunit has a binding site for acetylcholine, and binding of an acetylcholine molecule to each of them induces a conformational change in the protein so that the channel opens. NN receptors in the brain are located presynaptically on glutamate-secreting axon terminals Ref: Ganong's Review of Medical Physiology 26th edition